In electroretinogram (ERG) the b-wave represents the activity of:
1. Rods and cones
2. Bipolar cells
3. Ganglion cells
4. All of the above

Correct answer: 2. Bipolar cells

Explanation: Ans. Bipolar cells